Hemolytic anaemia is seen most commonly due to
1. Pyruvate kinase
2. Phospho fructokinase I
3. Phospho fructokinase II
4. Pyruvate dehydrogenase

Correct answer: 1. Pyruvate kinase

Explanation: Pyruvate kinase deficiency is an inherited disorder that affects red blood cells, which carry oxygen to the body's tissues. People with this disorder have a condition known as chronic hemolytic anemia, in which red blood cells are broken down (undergo hemolysis) prematurely, resulting in a shortage of red blood cells ( Specifically, pyruvate kinase deficiency is a common cause of a type of inherited hemolytic anemia called hereditary nonspherocytic hemolytic anemia. In hereditary nonspherocytic hemolytic anemia, the red blood cells do not assume a spherical shape as they do in some other forms of hemolytic anemia.